The definite contraindication of Thiopentone
1. Diabetic patient
2. ECT
3. Sarcoidosis
4. Acute intermittant porphyria

Correct answer: 4. Acute intermittant porphyria

Explanation: (D) Acute intermittant porphyria # Barbiturates are Contraindicated in -- H/O Barbiturate hypersensitivity H/O Acute intermittent porphyria (cause LMN paralysis or CVS collapse);Anticipated airway obstruction> Care: Fixed cardiac output states; Shock states; Hepatic/Renal dysfunction; Asthmatic/Myxoedema; Adrenocortical failure; Myotonia dystrophia; Extremes of age.